Type IIIB Endometrial cancer (FIGO) is
1. Endometrial cancer invading cervical stroma
2. Endometrial cancer with vaginal involvment
3. Endometrial cancer involving uterine adnexa
4. Endometrial cancer invading Pelvic lymph nodes

Correct answer: 2. Endometrial cancer with vaginal involvment